Stage of falciparum not seen in peripheral smear is -
1. Schizont
2. Gametocyte
3. Ring form
4. Double ring

Correct answer: 1. Schizont